All are features of Hypernephroma except
1. Persistent pyrexia
2. Hematuria
3. Polycythemia
4. Lower pole involvement

Correct answer: 4. Lower pole involvement

Explanation: RCC commonly occurs in upper pole of kidney . The classic triad of loin pain, loin mass and haematuria is seen in <10% of patients with a renal tumour. Nowadays, the majority of diagnoses result from incidental findings. This shift is a consequence of the widespread use of USS and CT imaging, performed for other reasons. That said, paraneoplastic syndromes - symptoms caused by hormones or cytokines excreted by the tumour cells or by an immune response against the tumour - are not uncommon in RCC and symptoms include hypercalcaemia, fever and erythrocytosis . ( ref : - Bailey 27th ed , chapter 76 , pg no : 1417 )